Left recurrent laryngeal nerve has a longer course because of which arch artery:
1. 1st arch
2. 2nd arch
3. 4th arch
4. 6th arch

Correct answer: 4. 6th arch

Explanation: The Left recurrent laryngeal nerve has a longer course to the neck than the right side. This is because it hooks under the left sixth arch artery which persists in extra-uterine life as the ductus arteriosus, a fibrous remnant. On the right side, neither the sixth nor fifth arch arteries persist and so the recurrent laryngeal nerve is restrained by the next most superior structure which is the fourth branchial arch artery (Right Subclavian Artery). Rarely, the right fourth branchial arch artery does not develop in the adult and instead, the right dorsal aorta of the fetus persists to supply the same territories. Hence, the right recurrent laryngeal nerve is no longer restrained by a subclavian artery and so it divides from the vagus more superiorly to run inferiorly on the larynx. This anomalous nerve (Non Recurrent Laryngeal nerve) may be transected during thyroid surgery. * The recurrent laryngeal nerve has differing courses oneach side. On the right, it loops under the subclanaery and on the left under the aortic arch. On bothsides it then ascends on the side of the trachea.